False about curettes is
1. Fine curved blades
2. Better adaptation
3. Flat toe as compared to sickle scaler
4. None of the above

Correct answer: 3. Flat toe as compared to sickle scaler

Explanation: Curettes have rounded toe as compared to sickle scaler.